High rate of failure after direct pulp capping in primary
teeth is due to
1. Law vascularity of pulp
2. High cellular content of pulp
3. Large number of unmyelinated nerves
4. Narrow ribbon shaped root canals

Correct answer: 2. High cellular content of pulp